Which of the following inhalational anesthetic agent causes maximum respiratory irritation?
1. Enflurane
2. Halothane
3. Sevoflurane
4. Desflurane

Correct answer: 4. Desflurane

Explanation: Ans. (D) Desflurane(Ref: Goodman and Gilman 13th/e p395)DesfluraneIt has minimum blood gas partition coefficient and therefore is the fastest inducing agent.It has very high vapor pressure. Its boiling point is 23degC; therefore it boils at room temperature. It requires special vaporizers due to this property.It produces cardiovascular effects similar to isoflurane except coronary steal phenomenon.Induction with desflurane is unpleasant due to respiratory irritation. It can lead to coughing, breath holding and laryngospasm.It can also be used in day care surgery.